Granulomatous mastitis is caused by all except -
1. TB
2. Fungus
3. Staphylococcus
4. Antibodies to milk antigens

Correct answer: 3. Staphylococcus

Explanation: Inflammatory processes involving the breast are uncommon and are usually associated with pain and tenderness in the affected areas. Included in this category are several forms of mastitis and traumatic fat necrosis, none of which increase the risk of cancer. ref : Robbins Basic Pathology, 9E,page-707 REF OF IMG: